Delusion of persecution occur in :
1. Schizophrenia
2. Paranoid psychosis
3. Manic episode
4. All

Correct answer: 4. All

Explanation: A i.e. Schizophrenia; B i.e. Paranoid psychosis; C i.e. Manic episode Delusion of persecution occurs in schizophrenia, 'paranoid disordersQ, organic mental disorders (eg alcoholic hallucinosis, amphetamine delirium, delusional disorder, other hallucinogenic syndrome, epilepsy & all forms of delirium), and less commonly in melanocholia (severe depression), manic episodeQ and during transitory psychotic breaks in borderline personality disorder. Patients of psychotic mania (mania with psychotic features) often develop mood congruent grandiose delusion (voices supporting the patients super human power's) & expansive religious delusions (hearing God) and mood incongruent secondary delusion of persecution. It is often misdiagnosed as schizophrenia but the intrusive nature seen in severe mania is of an extremely dominating and manipulative nature, out of context with the setting and the increased social contant of manic patients is clearly different from the emotional bluntness of schizophrenics.